True about endometrium
1. Has 3 distinct zones.
2. Basalis layer is sloughed off during menstruation.
3. Basalis layer is less hormonally responsive.
4. Basalis has surface epithelium and subepithelial capillary plexus.

Correct answer: 3. Basalis layer is less hormonally responsive.

Explanation: Endometrium has 2 zones
→ Functionalis layer
→ Basalis layer
Functionalis layer is shed during menstruation 
Functionalis layer lines the uterine cavity and has surface epithelium with subepithelial capillary plexus.